Gusten, a protein of the saliva is
1. Important for taste sensation
2. Contains zinc
3. Both
4. None

Correct answer: 3. Both